The second costochondral joint is a
1. Fibrous joint
2. Synovial joint
3. Synchondrosis
4. Syndesmosis

Correct answer: 3. Synchondrosis